The substance most commonly used for protection
against X-ray radiation is
1. Zinc
2. Steel
3. Lead
4. porcelain

Correct answer: 3. Lead